Which of the following is not a cause of glomerular proteinuria?
1. Diabetes Mellitus
2. Amyloidosis
3. Multiple myeloma
4. Nil Lesion

Correct answer: 3. Multiple myeloma

Explanation: Multiple myeloma is characterized by tubular proteinuria. The Bence Jones proteins induce tubular damage Increased beta-2-microglobulin levels in urine is an prognostic indicator of Multiple myeloma Diabetes Mellitus and amyloidosis lead to damage to basement membrane of the kidney leading to glomerular proteinuria in form of albuminuria Nil Lesion is also called as minimal change disease and presents as glomerular cause of proteinuria leading to nephrotic presentation . Multiple Myeloma: SPEP will demonstrate a sharp peak ("church spire" orM band) in the gamma globulin region as shown below: